A 10 year old boy has a fracture of femur. Biochemical evaluation revealed Hb 11.5 gm/dL and ESR 18 1st hr. Serum calcium 12.8mg/dL, serum phosphorus 2.3 mg/dL, alkaline phosphatase 28 KA units and blood urea 32 mg/dL. Which of the following is the most probable diagnosis in his case-
1. Nutritional rickets
2. Renal rickets
3. Hyperparathroidism
4. Skeletal dysplasia

Correct answer: 3. Hyperparathroidism

Explanation: Ans. is 'c' i.e., Hyperparathyroidism o The clues given in this question are : ? 1. Hypercalcemia 2. Hypophosphatemia 3. Raised alkaline phosphatase o All are seen in hyperparathyroidism o A low serum phosphorus level with hypercalcemia is characteristic of primary hyperparathyroidism. About other options o In Rickets (nutritional or renal) serum calcium will be decreased or normal (not increased). o Skeletal dysplasia has normal calcium and phosphorus levels.